Incision for superficial parotidectomy:-
1. L-shaped
2. Y-shaped
3. S-shaped
4. Z- shaped

Correct answer: 3. S-shaped

Explanation: Incision for superficial parotidectomy is S-shaped. Parotidectomy: The most commonly used incision is the 'lazy S' pre-auricular-mastoid-cervical. Name of incisions for parotidectomy: Lazy 'S', modified Blairs or Sistrunk incision